MC abdominal organ injured in blunt trauma abdomen is -
1. Spleen
2. Liver
3. Pancreas
4. Stomach

Correct answer: 1. Spleen